Krabbe’s disease caused by deficiency of
1. Sphingo myelinase
2. Alpha galactosidase
3. Galacto cerebrosidase
4. Aryl sulfatase A

Correct answer: 3. Galacto cerebrosidase